Serotonin is derived from -
1. Tyrosine
2. Phenylalanine
3. Alanine
4. Tryptophan

Correct answer: 4. Tryptophan

Explanation: Ans. is 'd' Le., Tryptophan